Which of the following constitutes secondary prevention
1. Health education programmes
2. Wearing safety helmets
3. Using limb calipers
4. Screening test

Correct answer: 4. Screening test

Explanation: Secondary prevention includes early detection ( diagnostic tests and screening tests) and treatment. Ref: Park's textbook of preventive and social medicine; 23rd edition; Page no 42